Spread by mosquitoes :
1. Dengue
2. Kala azar
3. Trypanosomiasis
4. Listeriosis

Correct answer: 1. Dengue